Blomsingher prosthesis is used for production of?
1. Voice
2. Image
3. Radiowaves
4. Light

Correct answer: 1. Voice

Explanation: Ans. is 'a' i.e., Voice Blom-singher Prosthesis In 1978, Drs. Singer and Blom pioneered the methods of tracheoesophageal puncture and valved silicone voice prostheses that over the past 30 years have become the international standard for voice restoration, allowing thousands of patients worldwide to regain their ability to speak. By creating a small surgical passage just inside the stoma, from the back wall of the trachea into the esophageal wall, a voice prosthesis can be placed into this passage to enable tracheoesophageal speech. Voice is produced by temporarily blocking the stoma so that exhaled air from the lungs can be directed from the trachea through the prosthesis into the esophagus and then out through the mouth. Fluent, conversational speech may be acquired within just a few days.